A hypertensive patient with BP 160/90 mm of Hg presents with increased level of Lipoprotein A. Which hypolipidemic drug will you prescribe?
1. Fenofibrate
2. Pitavastatin
3. Niacin
4. Ezetimibe

Correct answer: 3. Niacin

Explanation: Niacin: Has max HDL increasing property Only drug that can | Lipoprotein A Treatment of hypercholesterolemia Fibrates - maximum TGs lowering potential Statins -maximum reduction in LDL cholesterol. Ezetimibe- Inhibits intestinal absorption of cholesterol, usually used along with statins.